A patient has carcinoma on the right side of anterior 2/3rd of the tongue with lymph node of size 4cm in level 3 on the left side of the neck. Stage of the disease is
1. N0
2. N1
3. N2
4. N3

Correct answer: 3. N2

Explanation: Ref: Dhingra 7e pg 306.